Trismus is  not seen:
1. Scleroderma.
2. OSMF.
3. Pemphigus.
4. None.

Correct answer: 3. Pemphigus.

Explanation: Scleroderma: 
Difficulty in mouth opening due to involvement of perioral skin.